A 42 year old female has palpable purpura with rash over buttocks, pain in abdomen, and arthropathy diagnosis is -
1. Sweet syndrome
2. HSP
3. Purpura fulminans
4. Meningococcemia

Correct answer: 2. HSP

Explanation: Typical HSP Henoch Schonlein Purpura (HSP) rash: